The free edge of the falciform ligament encloses
1. Ligamentum venosum
2. Portal vein and common bile duct
3. Ligamentum teres
4. Superior epigastric vein

Correct answer: 3. Ligamentum teres

Explanation: The liver is divided into right and the left lobes by the attachment of the falciform ligament anteriorly and superiorly; by the fissure for the ligamentum teres inferiorly; and by the fissure for the ligamemtum venosum posteriorly. Ligamentum teres is a degenerative string of tissue that exists in the free end of the falciform ligament. Ref -researchgate.net